The most reliable criteria in Gustafson method of age estimation is -
1. Attrition
2. Secondary dentin deposition
3. Transparency of root
4. Cementum apposition

Correct answer: 3. Transparency of root

Explanation: The canals in dentin become wide and are filled with mineral so that they become translucent gradually . It is not seen until thirty years of age. It is the most reliable criteria in Gustafsons method. Ref:Dr . Narayana Reddys Synopsis of Forensic Medicine & Toxicology 27th edition pg. 37.